All or none law is obeyed by:
1. Post synaptic potential
2. Non propagated potential
3. Action potential
4. Spike potential

Correct answer: 3. Action potential

Explanation: Ans. C: Action potentialOnce threshold intensity is reached, a full fledged action potential is produced.The action potential fails to occur if the stimulus is subthreshold in magnitude and it occurs with constant amplitude and form, regardless of the strength of the stimulus if the stimulus is at or above threshold intensity. Therefore action-potential obeys all or none law